Which drug can cause acute angle closure glaucoma due to ciliarychoroidal effusion?
1. Amiodarone
2. Topiramate
3. Chlorpromazine
4. Allopurinol

Correct answer: 2. Topiramate

Explanation: Topiramate is an anticonvulsant also used in the treatment of migraine. It can cause acute angle-closure glaucoma with associated myopia due to ciliochoroidal effusion. A similar phenomenon has been reported with other drugs, especially other sulfonamides including acetazolamide. Presentation is usually within a month of starting treatment, with blurred vision, and sometimes haloes, ocular pain and redness. Signs include shallowing of the anterior chamber and raised intraocular pressure. Treatment consists of reducing the intraocular pressure and stopping the drug. Vigabatrin is implicated in causation of constriction of visual field.